The teeth are in occlusal contact for the following percent of times in a day:
1. 94%.
2. 2-6%
3. 6-8%
4. 10-15%

Correct answer: 2. 2-6%